Which cephalometric point represents the centre of ramus of mandible?
1. Xi-point
2. Pm-point
3. Ptm-point
4. N-point

Correct answer: 1. Xi-point

Explanation: Xi point:
A point located at the geometric centre of the ramus. The location of the Xi point can be found geometrically by drawing a line through the porion–orbitale (FH) and perpendicularly through the PT vertical (PTV).